Which of the following levels of lymphnodes are first involved by papillary carcinoma?
1. Level II
2. Level IV
3. Level V
4. Level VI

Correct answer: 4. Level VI

Explanation: Pretracheal / Prelaryngeal are involved at First by papillary carcinoma of thyroid, which are Level VI neck lymph nodes.